Depolarising muscle relaxant?
1. Scoline
2. Atracurium
3. Pancuronium
4. Cisatracurium

Correct answer: 1. Scoline

Explanation: Ans. a (Scoline). (Ref. KD Tripathi, 4th ed., 151)MUSCLE RELAXANTSDepolarising typeThey are short acting muscle relaxants e.g., Suxamethonium (Scoline)Non-depolarising typeThey are long acting muscle relaxants e.g. Atracurium, vecuronium, tubocurate, pancuronium, pipecuronium rocuronium, 51 W 89 etc. Muscle relaxants are given mainly intravenously, dantrolene and quinine cause muscle relaxation by direct action.Depolarising muscle relaxants# -Short acting muscle relaxants# -Depolarising muscle relaxant causes fasciculation, but non-depolarising muscle relaxants do not cause fasciculation.# -Depolarising and non-depolarising muscle relaxants should never be mixed in same syringe.# -There is no reliable antagonist to depolarising muscle relaxants.# -Depolarised muscles do not respond to mechanical or electrical stimuli etc.# -In partial paralysis, the neuromuscular monitoring shows no 'fade', no post tetanic fasciculations.